Sterilization of media containing serum is by
1. Autoclaving
2. Micropore filter
3. Gamma radiation
4. Centrifugation

Correct answer: 2. Micropore filter

Explanation: Autoclave is used for sterlizing : surgical instruments culture media Plastic containers /Pipettes/Tubes . Gloves,aprons, dressing suture material except catgut Membrane/Micropore filter Membrane filters remove microorganisms by screening them out as they have less pore size than bacteria Made up with cellulose acetate, cellulose nitrate, polycarbonate etc. Serum , Trypsin, growth factors, proteins, amino acids, vitamins and hormones are thermolabile and may decompose during autoclaving, so must be sterilized by Membrane filters. Ionising radiations: 1. Examples include, X-rays, gamma rays (from Cobalt 60 source), and cosmic rays. 2. Mechanism: It causes breakage of DNA without temperature rise (hence called as cold sterilization). It is used for: Disposable plastics, e.g. rubber or plastic syringes, infusion sets and catheters. Catgut sutures, bone and tissue grafts and adhesive dressings, antibiotics and hormones. Centrifugation is not a method of sterilization.